Muscles spared during injury to cranial root of accessory nerve
1. Stylopharyngeus
2. Palatopharyngeus
3. Salpingopharyngeus
4. Cricopharyngeus

Correct answer: 1. Stylopharyngeus

Explanation: All muscles of the pharynx, except stylopharyngeus, are supplied by the pharyngeal plexus